Which of the following should be considered as the cause of generalized convulsions 20 minutes postoperatively?
1. Halothane
2. Enflurane
3. Isoflurance
4. Sevoflurane

Correct answer: 2. Enflurane

Explanation: Enflurane can precipitate seizures in epileptic patients and hence is usually avoided in them. Whereas the rest of the given drugs do not provoke seizures. From padmaja 4th edition Page no 190,191